In central serous retinopathy, in the macular region, there occurs
1. Spontaneous detachment of neuro-sensory retina
2. Macular oedema
3. Detachment of pigment epithelium
4. Detachment of choroid

Correct answer: 1. Spontaneous detachment of neuro-sensory retina

Explanation: Ans. . Spontaneous detachment of neuro-sensory retina